"Therapeutic" index is:
1. an approximate assessment of the safety of the drug.
2. The dose expected to kill one half of population
3. The dose produces desired response
4. The dose produces 1000 mortality

Correct answer: 1. an approximate assessment of the safety of the drug.